Oral glucose tolerance test in children is done with:
1. 1.5 gm/kg glucose
2. 1.75 gm/kg glucose
3. 2 gm/kg glucose
4. 75 gm as an adult

Correct answer: 2. 1.75 gm/kg glucose

Explanation: - Dose of glucose used in Oral Glucose Tolerance Test (OGTT): Adults - 75 gm children - 1.75 gm/kg of ideal weight, up to a maximum of 75 gm